Necrotizing Ulcerative Gingivitis has been demonstrated to be
1. Communicable but not transmissible
2. Both communicable and transmissible
3. Transmissible but not communicable
4. Neither transmissible nor communicable

Correct answer: 3. Transmissible but not communicable